Evacuation of the urinary bladder and stool with profuse sweating is a feature of:
1. Mass reflex
2. Magnet reaction
3. Decortication
4. Hemisection of the spinal cord

Correct answer: 1. Mass reflex

Explanation: In patients with spinal cord injury when a minor noxious stimulus is applied to the skin, it will cause a withdrawal response and also irradiate to autonomic centers and produce evacuation of the bladder and bowel, sweating, pallor, and BP swings. This is called "mass reflex". It can be used in paraplegic patients who have poor bladder and bowel control. They can be trained to initiate urination and defecation by pinching their thighs. Magnet reaction is a postural reflex called 'positive supporting reaction' shown by spinal animals. Decorticate rigidity is seen on removal of the cortex and hence removal of inhibition of 'gamma' efferent discharge causing hyperactive stretch reflexes and rigidity.